A nondiabetic, non hypertensive adult male develops sudden severe headache with altered sensorium, likely diagnosis is :
1. Brain tumour
2. Sub arachnoid haemorrhage
3. Encephalitis
4. Meningitis

Correct answer: 2. Sub arachnoid haemorrhage

Explanation: Answer is B (Subarachnoid Haemorrhage): Sudden severe headache with altered sensorium indicates haemorrhage as the likely vascular event in this patient. The patient is a non diabetic & non hypertensive, thereby indicating that he has no risk factor to account for the weakening of small perforating vessels, that could lead to their rupture and an intracerebral haemorrhage. The haemorrhage is thus a spontaneous one. Most likely diagnosis therefOre is spontaneous rupture of a saccular aneurysm or 'Subarachnoid H'rrage'.